Herpangina is caused by -
1. Adenovirus
2. Enterovirus-72
3. Coxsackie virus A
4. Coxsackie virus B

Correct answer: 3. Coxsackie virus A

Explanation: Herpangina is a common clinical manifestation of coxsackie group A infectiin in children. It is a severe febrile pharyngitis with headache vomiting and pain in the abdomen. REF:ANATHANARAYAN AND PANIKER'S TEXTBOOK OF MICROBIOLOGY 8TH EDITION PAGE NO:491